Tyrosine kinase receptor is activated by ?
1. Growth hormone
2. Insulin
3. TSH
4. Glucagon

Correct answer: 2. Insulin

Explanation: Ans. is 'b' i.e., Insulin